A cesarian section was done in the previous pregnancy. All of the following would be indications for elective section except*
1. Breech
2. Macrosomia
3. Polyhydramnios
4. Post-term

Correct answer: 3. Polyhydramnios

Explanation: Ans. c. Polyhydramnios Polyhydramnios is not an indication for elective cesarean section in a patient with history of cesarean section in the previous pregnancy. Indications of Repeat Cesarean Section in Case of Past history of Cesarean Section Recurrent indication for initial caesarean delivery Previous unknown type of caesarean delivery (Labour dystocia or cephalo-pelvic disproportion) Past history of uterine ruptureQ Two or more previous caesarean deliveriesQ MalpresentationQ(e.g. Breech) Previous classical caesarean delivery Fetal macrosomiaQ Gestation beyond 40 weeksQ